The current agent of choice for treatment of bipolar affective (manic-depressive) disorder is:
1. Chlorpromazine
2. Haloperidol
3. Diazepam
4. Lithium carbonate

Correct answer: 4. Lithium carbonate

Explanation: Lithium carbonate is the current agent of choice, particularly during the manic phase. Because the onset of action is slow, concurrent use of antipsychotic agents such as chlorpromazine or haloperidol may be necessary to control mania. Concurrent use of tricyclic antidepressants may be necessary in the depressive phase. Monitoring of lithium levels is necessary because of the serious nature of the adverse effects (neurologic, renal, cardiac). Ref: Ropper A.H., Samuels M.A. (2009). Chapter 57. Depression and Bipolar Disease. In A.H. Ropper, M.A. Samuels (Eds), Adams and Victor's Principles of Neurology, 9e.